From which arteries is blood supplied to bone?
1. Nutrient
2. Periosteal
3. Metaphyseal
4. All of the above

Correct answer: 4. All of the above

Explanation: Bone is supplied by :

nutrient artery, 
periosteal artery, 
metaphyseal (juxta-epiphyseal) artery, and 
epiphyseal artery.